Most common age for depression is -
1. Middle age men
2. Middle age female
3. Young girl
4. Children

Correct answer: 2. Middle age female

Explanation: Depression is more common in middle-aged (30-40 years) females.